Intake of which of these cause vascular lesions in liver -
1. Halothanes
2. INH
3. Steroids
4. CPZ

Correct answer: 3. Steroids

Explanation: Ans. is 'c' i.e., SteroidsHere is a list of drug induced vascular disorder in the liver 1. Peliosis hepatis --> o Anabolic steroids(Sinusoidal dilatation) o Oral contraceptivesDanazol2. Hepatic or portal vein thrombus --> o EstrogensOral contraceptivesCytotoxic drugs3. Veno occlusive disease --> o Cytotoxic drugso Pyrozilidine alkaloids